Which of the following is true of shoulder joint?
1. Composed of only 2 joints
2. Anterior posterior gliding of s capula of never occurs
3. Acromio clavicular joint is more important
4. Allows flexion, rotation and abduction

Correct answer: 4. Allows flexion, rotation and abduction

Explanation: D i.e. Allows flexion, rotation & abduction * The three joints in shoulder complex are sternoclavicular, acromioclavicular, and gleno- humeral joints.* The glenohumeral joint is a synovial ball and socket articulation between the head of the humerus and glenoid cavity of scapula. It is the most important joint of shoulder complexQ. Movements at this joint includes flexion, extension, abduction, adduction, medial rotation, lateral rotation and circumductionQ.* Sternoclavicular & acromioclavicular joints allow movements in antero posterior and vertical planes to gether with some axial rotation.* For every 3deg abduction of arm, a 2deg abduction occurs in the shoulder joint, and 1deg occurs by rotation of scapula. At about 120degof abduction, the greater tuberosity of humerus hits the lateral edge of the acromian. Movements of scapula include rotation and anteroposterior glidingQ